All are non-sporing anaerobes of medical importance except
1. Actinomyces
2. Bacteroides
3. Clostridia
4. Fusobacterium

Correct answer: 3. Clostridia

Explanation: Ans. is 'c' i.e., Clostridia